Which body part has maximum representation in CNS?
1. Urinary Bladder
2. Lower limb
3. Abdomen
4. Thumb

Correct answer: 4. Thumb

Explanation: Somatosensory cortical areas
Primary- Post central gyrus
Association area- parietal lobe
Secondary area- sylvian fissure
“size of the cortical receiving area for impulses from a particular part of the body is proportional to the use of the part”
Thumb and lips-maximum representation
Vertical columnar arrangement